Tinels sign is seen in -
1. Avascular necrosisof scaphoid
2. Kienbock's Disease
3. 1st carpometacarpal joint arthritis
4. Carpal tunnel syndrome

Correct answer: 4. Carpal tunnel syndrome

Explanation: Ans. is 'd' i.e., Carpal tunnel syndrome Signs positive in carpal tunnel syndromeo Tinels sign (Percussion test)o Phalens sign (Hyper palmar flexion elicits pain)o Durkan's test (Median nerve compression test)o Semmes Weinstein monofilament test o Hand diagram testo Night pain